The chronic granulomatous disease is
1. Associated with formation of multiple granulomas
2. A benign neoplastic process
3. A parasitic disease
4. Acquired leukocyte function defect

Correct answer: 1. Associated with formation of multiple granulomas

Explanation: defects in the phagocyte oxidase (NADPH oxidase) enzyme, the cause of chronic granulomatous disease In these patients, engulfment of bacteria does not result in activation of oxygen-dependent killing mechanisms. In an attempt to control these infections, the microbes are surrounded by activated macrophages, forming the "granulomas Tuberculosis is the prototype of the granulomatous diseases but sarcoidosis, Crohn's disease, cat-scratch disease, leprosy, brucellosis, syphilis, some mycotic infections, berylliosis, and reactions of irritant lipids are also included. it is a congenital and not acquired leukocyte function defect ref:-robbins 9th ed, page 79